Tiger eye sign on MRI is seen in -
1. Halloverden spatz disease
2. CHPS
3. Achalasia Cardia
4. None

Correct answer: 1. Halloverden spatz disease

Explanation: Ans. is 'a' i.e., Halloverden spatz diseaseo Tiger eye is an abnormal T2 signal in the globus pallidus seen in Pantothenate kinase-2 (PANK-2) mutation of Holloverden spat disease.